Cognitive disorders -a) Deliriumb) Depersonalizationc) Dementiad) Secondary gain
1. ac
2. bc
3. ad
4. b

Correct answer: 1. ac

Explanation: Three groups of cognitive disorder are delirium, dementia and amnestic disorders.